Delusions of control, persecution and self reference are seen in
1. Paranoia
2. Paranoid schizophrenia
3. Mania
4. OCD

Correct answer: 2. Paranoid schizophrenia